Mild intellectual disability is defined when IQ is-
1. 50-70
2. 35-49
3. 20-34
4. <20

Correct answer: 1. 50-70

Explanation: Ans. is 'a' i.e., 50-70 CategoryIQMild50-70Moderate35-49Severe20-34Profound<20